False about hereditary angioneurotic edema
1. Autosomal recessive
2. Due to deficiency of C1 esterase inhibitor
3. Main mediator of edema is C2 kinin
4. TOC is C1 INH Concentration

Correct answer: 1. Autosomal recessive

Explanation: It is Autosomal dominant.